Pagophagia involves eating ?
1. Ice
2. Sand
3. Clay
4. Salt

Correct answer: 1. Ice

Explanation: Ans. is 'a' i.e., Ice Geophagia Eating clay Pagophagia Eating ice Plambophagia Eating lead Amylophagia Eating starch Coprophagia Eating feces Cautopyreiophagia Eating burnt matches Tricophagia Eating hair Lithophagia Eating stones Geomelophagia Eating raw potatoes